In facial porcelain margin, the risk of fracture can be reduced by
1. Increased axial depth upto 3 mm
2. Cavosurface margin at 90 degree
3. Margins of the tooth reduction at incisal edge
4. Providing contact during centric relationship

Correct answer: 2. Cavosurface margin at 90 degree